All are constituents of soda lime except –
1. Ca(OH)2
2. Ba(OH)2
3. Silica
4. Moisture

Correct answer: 2. Ba(OH)2

Explanation: Sodalime contains Ca(OH)2 (94%), NaOH (5%), KOH (< 1%), Silica, indicator and moisture.